NRHM was started in -
1. 2005
2. 2006
3. 2007
4. 2009

Correct answer: 1. 2005

Explanation: Ans. is 4a' i.e., 2005 National Rural Health Mission INRHM1o Government of India launched NRHM on 5th April, 2005 for a period of 7 years (2005-2012).o The mission seeks to improve rural health care delivery system.o The main aim of NRHM is to provide accessible, affordable, accountable, effective and reliable primary health care and bridging the gap in rural health care through creation of a cadre of Accredited Social Health Activist (ASHA).o District becomes the core unit of planning, budgeting and implementation of the programme. All vertical health and family welfare programmes at district level will merge into one common "District health Mission" and at state level into "State health mission" there will be provision of a "mobile medical unit" at district level for improved outreach services.o Since almost 75 percent of health services are being currently provided by the private sector, it is contempolated that involving the private sector as part of the RCH initiatives will provide more effective health care delivery system. Thus settng up of "public private partnership" (PPP) would help to make the RCH II programme better, and ensure availability or preventive and curative reproductive and health services to the community,o Janani Suraksha Yojana (JSY) is a safe motherhood intervention under the National Rural Health Mission being implemented with the objective of reducing maternal & neo-natal mortality by promoting institutional delivery among the poor pregnant women.o The schedule of implementation of major components of NRHM are as following (40):Merger of multiple societies and constitution of district/state mission.Provision of additional generic drugs at SC PHC/CHC level.Operational programme management units.Preparation of village health plans.ASHA at village level (with drug kit)Upgrading of rural hospitalOperationalising district planningMobile medical unit at district levelThe Goals to be achieved by NRHM (40)A National levelInfant mortality' rate reduced to 30/1,000 live births.Maternal mortality' ratio reduced to 100/100,000.Total fertility rate reduced - 50% by 2010, additional 10% by 2012.Malaria mortality- rate reduction -50% by 2010 additional 10% by 2012.Kala-azar mortality rate reduction -100% by 2010 and sustaining elimination until 2012.FilariaL'microfilaria rate reduction - 70% by 2010,80% by 2012 and elimination until 2015.Dengue mortality rate reduction - 50% by 2010 and sustaining at that level until 2012.Japanese encephalitis mortality' rate reduction - 50% by 2010 and sustaining at that level until 2012.Cataract operation : increasing to 46 lakhs per year by 2012.Leprosy prevalence rate: from 1.8/10,000 in 2005 to less titan 1/10,000 thereafter.Tuberculosis DOTS services : maintain 85% cure rate through entire mission period.Upgrading community' health centres to Indian public health standards.Increase utilization of first referral units from less than 20% to 75%.Engaging 250,000 female accredited social health activists (ASHA) in 10 states.B. At community' levelAvailability of trained community'- level worker at village level, with a drug kit for general ailments.Health day at angamvadi level on a fixed day/month for provision of immunization, ante/post natal checkups and sendees related to mother and child healthcare, including nutrition.Availability' of generic drugs for common ailments at subcentre and hospital level. Good hospital care through assured availability of doctors, drugs and quality services under the programme, Improvedfacilities for institution deliver through provision of referral, transport, escort and improved hospital care subsidized under the janani suraksha yojana for the below' poverty line families, Availability' of assured healthcare at reduced financial risk through pilots of community health insurance under the mission. Provision of household toilets, Improved outreach services through mobile medical unit at district level.